Upon contact between the sperm head and the zona pellucida, penetration of the sperm into the egg is allowed because of
1. The acrosome reaction
2. The zona reaction
3. The perivitelline space
4. Pronuclei formation

Correct answer: 1. The acrosome reaction